Rasmussen's aneurysm which artery is involved
1. Pulmonary artery
2. Bronchial artery
3. Vertebral artery
4. Posterior intercostal artery

Correct answer: 1. Pulmonary artery

Explanation: It is Pseudo-aneurysmal dilatation of a branch of pulmonary artery adjacent to a tuberculous cavity.